200 people attended a party and some of them had diarrhoea after 24 hours. They ate oyster, hamburger, ice-cream and potato salad. What's the likely cause? 40 ill from 50 who consumed oyster 50 ill from 135 who consumed hamburger 60 ill from 140 who consumed salad 49 ill from 115 who consumed ice cream 115
1. V. parahaemolyticus
2. Salmonella enteritidis
3. Yersinia enterocolitis
4. Staph aureus

Correct answer: 1. V. parahaemolyticus

Explanation: Most likely diarrhoeal cause is V. Parahaemolyticus as most of the people eating oyster (sea food) are suffering and also episode is occurring after 24hr which corresponds to the incubation period of V. parahaemolyticus(16-24hrs)